Appropriate approach for thyroidectomy to remove thyroid carcinoma with retrosternal extension is
1. Cervical
2. Thorasic
3. Combined cervical and thoracic
4. Thoracoscopic

Correct answer: 3. Combined cervical and thoracic

Explanation: Surgical removal of retrosternal thyroid is done. Commonly, it can be removed through an incision in neck(as blood supply of retrosternal goitre is from neck), but in case of large retrosternal extension or in malignant type median sternotomy is required. Reference: SRB's Manual of Surgery, 6th Edition, page no= 458.